Digoxin may be used in the treatment of-
1. Constrictive pericarditis
2. Cardiac tamponade
3. Atrial fibrillation
4. Diastolic failure

Correct answer: 3. Atrial fibrillation